Glucocorticoids with mineralocorticoids activity is seen in –
1. Triamcinolone
2. Betamethasone
3. Cortisol
4. Dexamethosone

Correct answer: 3. Cortisol